A 60-year-old male patient presented to the OPD with complaints of a mass in the epigastric region with no other complaints. On examination, the mass was found to be pulsatile. USG abdomen was done. CT abdomen The doctor did a procedure. For the procedure the doctor accessed an artery in the lower limb and opened a sheath to expose the artery. Which of the following structures is enclosed inside that sheath: -
1. Cooper's ligament
2. Femoral canal
3. Femoral nerve
4. Obturator nerve

Correct answer: 2. Femoral canal

Explanation: This is a case of Abdominal aortic aneurysm. Both the radiological images show the aneurysm. The procedure being performed is the Endovascular stenting. For this the doctor accessed the femoral artery. The femoral artery is enclosed inside the femoral sheath along with the femoral canal which contains the deep inguinal lymph nodes along with femoral vein. Femoral nerve lies outside the femoral sheath.